Schwartz sign is seen in
1. Glomus Jugulare
2. Otosclerosis
3. Meniere's diseases
4. Acoustic neuroma

Correct answer: 2. Otosclerosis

Explanation: In otosclerosis sometimes, a reddish hue may be seen on the promontory through the tympanic membrane. This is called Schwartze sign. This is indicative of active focus with increased vascularity. Ref: Diseases of EAR, NOSE and THROAT by PL Dhingra; 7th Edition page no.96